All are true regarding progressive supranuclear palsy except -
1. Tremors
2. Unsteadiness
3. Dysarthria
4. Gaze palsy

Correct answer: 1. Tremors